Lattice retinal degeneration seen in –
1. Myopia
2. Hypermetropia
3. Presbyopia
4. Anisocoria

Correct answer: 1. Myopia

Explanation: Lattice retinal degeneration is a type of peripheral retinal degeneration is more common in myopia.